Botulinum toxin acts by which mechanism
1. Transmitter uptake inhibition
2. Transmitter release inhibition
3. Transmitter synthesis inhibition
4. Transmitter breakdown inhibition

Correct answer: 2. Transmitter release inhibition

Explanation: Clostridium botulinum produces type A toxin. It acts by blocking the release of acetylcholine at the synapses and neuromuscular junction. Thus blocks neuromuscular transmission. Reference: Textbook of Microbiology; Anathanarayan and paniker's; 10th edition; Page no: 269